Hypophosphatemia is seen in all except -
1. Acute renal failure
2. Resolving phases of diabetic ketocidosis
3. Respiratory alkalosis / COPD
4. Chronic alcoholism

Correct answer: 1. Acute renal failure